Most common site of glioblastoma multiforme is-
1. CP angle
2. Frontal lobe
3. Brainstem
4. Occipital lobe

Correct answer: 2. Frontal lobe

Explanation: Ans. 'b' i.e., Frontal lobe A glioblastoma multiforme (GBM) is a type of brain tumour called an astrocytoma. Astrocytomas are some of the most common brain tumours. They develop from the highly vascular and quickly reproducing astrocyte cells in our brain and are often malignant.